Which of the following is not a structural gene of HIV
1. Gag
2. Pol
3. ENV
4. Tat

Correct answer: 4. Tat

Explanation: Ans. is 'd' i.e., Tat